False about Giardia lambia is
1. Quadrinucleate cyst is infective form
2. Cysts can survive in water upto 3 months
3. Trophozoite has Axostyle to Adhere to surfaces.
4. Exhibits falling leaf motility

Correct answer: 3. Trophozoite has Axostyle to Adhere to surfaces.

Explanation: Trophozoite has sucking disc to adhere to surfaces.